True about CIN
1. Premalignant lesion
2. HPV predisposes
3. Pap smear can detect it and Chlamydia infection can predispose both
4. All

Correct answer: 4. All

Explanation: Ans. is a, b and c i.e. Premalignant lesion; HPV predisposes; Pap smear can detect it; Chlamydia infection can predispose; and Occurs at squamo-columnar junction Cervical Intraepithelial Neoplasia (CIN) is the term used to describe the condition of cervix when a part or the full thickness of stratified squamous epithelial cells is replaced by dysplastic cells. It is a premalignant condition. CIN can be graded as CIN I (Mild Dysplasia) Dysplastic cells seen in lower third of epithelial lining. CIN II (Mod dysplasia) Dysplastic cells seen in 2/3rd of epithelial lining. CIN III (Severe dysplasia Dysplastic cells seen more than 2/3rd of epithelial lining. Carcinoma in Situ It represents full thickness dysmaturity, but basement membrane is intact.deg Mild dysplasia can be seen in inflammatory conditions like Trichomoniasis and is reversible. CIN occurs at squamocolumnar Junction/ Transformation Zone.deg Factors Predisposing to CIN / Ca cervix : - Coitus before 18 years of agedeg - Multiple sex panersdeg - Delivery of lst baby before 20 years of agedeg - Multiparitydeg -- Poor personal hygienedeg - Poor socioeconomic statusdeg - Smokingdeg, Alcohol, Drug abuse - Women with : STDdeg, HIVdeg, HSV-2deg, HPV infectiondeg ... Novak 14/e, p 568 - Immunosuppressed individualsdeg - Women with H/0 Preinvasive lesiondeg - Women on OCPdeg, Progesterone therapy for long time are predisposed to adenocarcinoma endocervix. From the above list it is clear that : STD's predispose to CIN and chlamydia is an STD. As far as specifically chlamydia is concerned. "Infection with the herpes virus was previously thought to be the initiating event in cervical cancer; however, infection with human papilloma virus (HPV) has now been determined to be the causal agent in the development of cervical cancer, with herpes virus and Chlamydia trachomatis likely acting as cofactors."